All are indicators of active bleeding from varices during endoscopy, EXCEPT:
1. Active bleeding from a varix
2. White nipple overlying a varix
3. Clots overlying a varix
4. Yellow nipple

Correct answer: 4. Yellow nipple

Explanation: Classification of the varices: Size of varix Two-size classification Three-size classification 1. Small < 5 mm Minimally elevated veins above the esophageal mucosal surface 2. Medium Tortuous veins occupying less than one-third of the esophageal lumen 3. Large > 5 mm Occupying more than one-third of the esophageal lumen Variceal hemorrhage is diagnosed on the basis of one of the following findings on endoscopy: Active bleeding from a varix White nipple overlying a varix Clots overlying a varix Varices with no other potential source of bleeding Ref: WGO Practice Guidelines Esophageal varices